Christmas disease is due to deficiency of:
1. Deficiency of factor IX
2. Deficiency of factor X
3. Deficiency of factor XI
4. Deficiency of factor XII

Correct answer: 1. Deficiency of factor IX

Explanation: Ans. A: Deficiency of factor IXHaemophilia B (or hemophilia B) is a blood clotting disorder caused by a mutation of the Factor IX gene, leading to a deficiency of Factor IX. It is the less common form of haemophilia, rarer than haemophilia A.It is sometimes called Christmas disease after Stephen Christmas, the first patient described with this disease